Disinfectant used to disinfect blood spills in hospital floors?
1. Phenol
2. Quarternary ammonium compound
3. Alcohol
4. Chlorine based compounds

Correct answer: 4. Chlorine based compounds

Explanation: MOA of halogens: oxidation of essential sulfhydryl groups of enzymes. Use of Chlorine compounds: * Chlorine tablets are used for water disinfection(water supplies, swimming pools) * Household bleach (5-6 % sodium hypochlorite) - used to disinfect floors in a stock dilution of 1: 10 in water and infectious spills. Use of Iodine compounds * Tincture of iodine (2% iodine in 70% alcohol): used as an antiseptic. * Iodophor- Iodine coated onto a neutral carrier molecules like polyvinylpyrrolidone for slow release and less irritation.Eg. Betadene.